A woman has 2 kids. She presents with galactorrhoea and amenorrhoea for 1 year. The most probable diagnosis is :
1. Pregnancy
2. Pituitary tumor
3. Sheehan's syndrome
4. Metastasis to pituitary from other carcinoma

Correct answer: 2. Pituitary tumor

Explanation: Ans. is b i.e. Pituitary Tumor